Source of arterial supply to testis:
1. Internal pudendal artery
2. Deep external pudendal artery
3. Superficial external pudendal artery
4. Testicular artery

Correct answer: 4. Testicular artery

Explanation: Blood supply of testesThe testicular artery is a branch of the abdominal aorta given off at the level of L2.The testicular veins emerge from the testis and the epididymis as a venous network, the pampiniform plexus.This becomes reduced to a single vein as it ascends through the inguinal canal. The right testicular vein drains into the inferior vena cava, and the left vein joins the left renal vein.